Source of bleeding ulcer on lesser curvature of stomach is:
1. Right gastric artery
2. Inferior pancreatic duodenal
3. Left gastro-omental artery
4. Gastroduodenal artery

Correct answer: 1. Right gastric artery

Explanation: Ans: A (Right gastric artery) Ref: Schwartz Textbook of Surgery, 10th edition, pg: 1037Explanation:Blood Supply to Lesser Curvature of StomachThe right and left gastric arteries supply the lesser curvature of the stomach.These two arteries are the most likely cause of bleeding at the lesser curvature of the stomach.Gastroduodenal ArteryBranch of the common hepatic arterySupplies theo Duodenum,o Head of the pancreas,o Greater curvature of the stomach.It is the source of bleeding from Duodenal ulcer.Upper GI Bleed-BleedingAny bleeding above the ligament of treitz.Slow bleeding usually presents with Malenao Very dark, tarry, pungent stool,o Usually suggestive of UGI origin.Hematochezia.Fresh bleeding per rectum.Usually suggestive of colonic origin.Mallory-Weiss TearsAccounts for 15% of acute upper GI hemorrhage.This linear mucosal laceration is the result of forceful vomiting, retching, coughing or straining.Dieulafoy LesionIt is a vascular malformation of the proximal stomach, usuallyOccurs within 6 cm of the gastroesophageal junction.Along the lesser curvature of the stomach.Can cause obscure GI bleeding.